True about epidemiology of malaria -
1. Extrinsic incubation period 0-14 days
2. In india common during January to June
3. Man act as definitive host
4. Mosquito acts as definitive host

Correct answer: 4. Mosquito acts as definitive host

Explanation: Man is the intermediate host.In india it is common from july to November .Ref.PARK'S TEXTBOOK OF PREVENTIVE AND SOCIAL MEDICINE 21st edition page no 235.